All of the following are actions produced by mu receptors of morphine except:-
1. Miosis
2. Decreased GI motility
3. Respiratory depression
4. Hyperalgesia

Correct answer: 4. Hyperalgesia

Explanation: Actions by u(MU) receptors S sedation A analgesia C constipation R respiratory depression U euphoria M miosis u (Mu) receptors cause analgesia and not hyperalgesia (Increase sensation of pain)